The principal polypeptide that increases food intake are the following except .
1. Neuropeptides-Y
2. Leptin
3. Orexin -A
4. B-Endorphins

Correct answer: 2. Leptin

Explanation: *All the above except leptin increases appetite . Leptin decreses appetite . Image ref - Harrison internal medicine 20e p2839